Placenta Praevia is characterized by all of the following except:
1. Painless bleeding
2. Causeless bleeding
3. Presents in first trimester
4. Recurrent bleeding

Correct answer: 3. Presents in first trimester

Explanation: Ans. C: Presents in First Trimester Women with placenta previa often present with painless, bright red vaginal bleeding. This bleeding often starts mildly and may increase as the area of placental separation increases. Praevia should be suspected if there is bleeding after 24 weeks of gestation but before 38 weeks. Abdominal examination usually finds the uterus non-tender and relaxed. Praevia can be confirmed with an ultrasound.